Which of the following antibodies is most frequently seen in Antiphospholipid Syndrome ?
1. Beta 2 microglobulin antibody
2. Anti-nuclear antibody
3. Anti-centromere antibody
4. Anti- beta 2 glycoprotein antibody

Correct answer: 4. Anti- beta 2 glycoprotein antibody

Explanation: Anti- beta 2 glycoprotein antibodies are the most frequently observed antibodies in patient with APLA syndrome amongst the options provided